Which of the following statements about the fluroquinolones is FALSE?
1. Gonococcal resistance to fluoroquinolones may involve changes in DNA gyrase
2. Modification of fluoroquinolones dosage is requyired in patients if creatinine clearance is less than 50 mL/min
3. A fluroquinolone is the drug of choice for treatment of an unconmplicated urinary tract infection in a 7 year-old girl
4. Fluoroquinolones inhibit relaxation of positively supercoiled DNA

Correct answer: 3. A fluroquinolone is the drug of choice for treatment of an unconmplicated urinary tract infection in a 7 year-old girl

Explanation: (Ref: KDT 6/e p/689) Fluroquinolones are conctra-indicated in children (due to risk of cartilage damage ) and pregnant female. Most common mode of resistance to fluoroquinolones is mutation in DNA gyrase. Dose of fluoroquinolones should be adjusted in renal failure (except moxifloxacin and trovalfloxacin). These drugs act by inhibiting DNA gyrase.